The operative procedure known as “micro fracture” is done for the
1. Delayed union of femur
2. Nonunion of tibia
3. Loose bodies of ankle joint
4. Osteochondral defect of femur

Correct answer: 4. Osteochondral defect of femur

Explanation: Microfracture is an orthopedic procedure used to treat osteochondral defects (damaged areas of articular cartilage of
the knee).